Fat in the duodenum lumen :
1. Stimulates gall bladder contraction
2. Inhibits gall bladder contraction
3. Inhibits CCK secretion
4. Releases Secretin

Correct answer: 1. Stimulates gall bladder contraction

Explanation: A i.e. Stimulates gall bladder contraction